As a nasal decongestant, pseudoephedrine should be used cautiously in the patient with any of the following conditions Except
1. Hypertension
2. Hyperthyroidism
3. Ischemic heart disease
4. Urinary incontinence

Correct answer: 4. Urinary incontinence

Explanation: Pseudoephedrine, a mixed direct- and indirect-acting sympathomimetic, may raise blood pressure and cardiac oxygen requirement, potentiate the cardiac effects of thyroid hormone, and increase urinary retention in patients with prostatic hypertrophy. It is not contraindicated in cases of urinary incontinence, and may actually be useful in select patients with the condition because it contracts the bladder sphincter. Ref: KD Tripathi 8th ed.